One of the following is not a feature of catatonic schizophrenia:
1. Negativism
2. Automatic obedience
3. Catalepsy
4. Cataplexy

Correct answer: 4. Cataplexy

Explanation: Ans. Cataplexy